Oncological outcome in HCC is described by all except
1. MELD
2. BCLC
3. CLIP
4. OKUDA

Correct answer: 1. MELD